Peripheral smear of malaria shows all except
1. Single ring form - Vivax
2. Multiple ring - Falciparum
3. Bar and band forms - Malariae
4. Banana shaped gametocyte - Ovale

Correct answer: 4. Banana shaped gametocyte - Ovale

Explanation: Banana shaped gametocyte are seen in P. falciparum Comparison of the characteristics of plasmodia causing human malaria P. vivax P. falciparum P. malariae P. ovale Hypnozoites Yes No No Yes Erythrocyte preference Reticulocytes Young erythrocytes, but can infect all stages Old erythrocytes Reticulocytes Stages found in peripheral blood Rings, trophozoites, schizonts, gametocytes Only rings and gametocytes As in vivax As in vivax Ring stage Large, 2.5 um, usually single, prominent chromatin Delicate, small, 1.5 um, double chromatin, and multiple rings common, accole forms found Similar to vivax, but thicker Similar to vivax, more compact Late trophazoite Large irregular, actively ameboid, prominent vacuole Compact, seldom seen in blood smear Bond form characteristic Compact, coarse pigment Schizont Large filling red cell Small, compact, seldom seen in blood smear Medium size Medium size Number of merozoites 12-24 in irregular grape - like cluster 8-24 grape - like cluster 6-12 in daisy - head or rostte patter 6-12 irregularly arranged Microgametocyte (male gametocyte) Spherical, compact, pale blue cytoplasm, diffuse nucleus Sausage or banana-shaped pale blue or pink cytoplasm, large diffuse nucleus As in vivax As in vivax Macrogametocyte (female gametocyte) Large, spherical, deep blue cytoplasm, compact nucleus Crescentic, deep blue cytoplasm, compact nucleus As in vivax As in vivax Infected erythrocyte Enlarged pale, with schuffner's dots Normal size, maurrer's clefts, sometimes basophilic stippling Normal, occasionally Ziemman's stippling Enlarged, oval fimbriated, prominent Schuffner's dots Duration of schizogony (days) 2 2 3 2 Prepatent period (days) 8 5 13 9 Average incubation period (days) 14 12 30 14 Appearance of gametocyte after parasite patency (days) 4-5 10-12 11-14 5-6 Duration of sporogony in mosquito (25oC) (days) 9-10 10-12 25-28 14-16 Average duration of untreated infection (years) 4 2 40 4